Child with seizure plus hyponatremia treatment of choice ?
1. 0.9% NaCl
2. i/2 0.45% NaC1
3. Dextrose + NaC1
4. 3% NaC1

Correct answer: 4. 3% NaC1

Explanation: Ans. is 'd ' i.e., 3% NaC1 Hyponatremia (Serum sodium < 130 meq/L). (Symptomatic when sodium < 120 meq/L). Fluid shift from ECF to neuronal cell. Results in cerebral edema which causes headache, drowsiness, seizure, coma. Treatment:? In low ECF volume & asymptomatic-give ORS/Normal saline. In complicated like seizure-give 3-5 ml/kg of 3% hypertonic saline to raise Na by 5 meq/Lit. Never do rapid correction (> 12 meq/Lit in 24 hour) can cause Central pontine myelinolysis (CPM).